The most common type of total anomalous pulmonary venous connection is:
1. Supracardiac
2. Infracardiac
3. Mixed
4. Cardiac

Correct answer: 1. Supracardiac

Explanation: a. Supracardiac(Ref: Nelson's 20/e p 2211-2217, Ghai 8/e p 420-423)Remember, Most common type of TAPVC is Supracardiac and Infracardiac type of TAPVC is always obstructive